All of the following muscles are composite muscles, EXCEPT:
1. Pectineus
2. Rectus femoris
3. Adductor magnus
4. Biceps femoris

Correct answer: 2. Rectus femoris

Explanation: Adductor Magnus, Biceps femoris and Pectineus are all examples of composite muscles.The rectus femoris muscle only forms one part of a composite muscle, the quadriceps femoris (composite of four muscles). Rectus femoris is one of the muscles forming quadriceps femoris along with vastus lateralis, vastus medialis and vastus intermedius. It is supplied by the femoral nerve (L2, 3, 4) and leads to extension of the leg at knee joint and flexion of thigh at hip joint. Ref: Human Structure By Matt Camill, William L. Hylander, James Shafland, Page 2-91; Elsevier Comprehensive Guide to Pgdee Basic Sciences By Dr. Rajeev Chitguppi, Page 49; Clinical Anatomy for Medical Students By Richard S Snell, 6th Edition, Chapter 10; Gray's Anatomy for Students, 39th Edition, Pages 1467, 1469